Medial arch of foot is made up of
1. Deltoid ligament
2. Spring ligament
3. Short plantar ligament
4. Long plantar ligament

Correct answer: 2. Spring ligament

Explanation: ARCHES OF FOOT:- Helps in fast walking, running, jumping, weight bearing and providing upright posture.Types: 1. Longitudinal- medial and lateral.2. Transverse - anterior and posterior. MEDIAL LONGITUDINAL ARCH:-Higher, more mobile than lateral. Ends:-1. Anterior end-Head of 1st , 2nd , and 3rd metatarsal.2. Posterior end-medial tubercle of calcaneum.Summit:-Superior articular surface of talus Pillars:-1. Anterior pillar- talus, navicular, and first three metatarsal.2. Posterior pillar-medial part of calcaneum.Joint- Talocalcaneonavicular. LATERAL LONGITUDINAL ARCH:-Ends:- 1. Anterior end- head of 4th and 5th metatarsal.2. Posterior end- lateral tubercle pf calcaneum. Summit:- articular facet of superior surface of calcaneum. Pillars:-Anterior-cuboid and 4th and 5 th metatarsal.Posterior- lateral half of calcaneum. Joint:- calcaneocuboid ANTERIOR TRANSVERSE ARCH:- Formed by heads of 5 metatarsals.Complete because heads of first and fifth come in contact with the ground. POSTERIOR TRANSVERSE ARCH:-Formed by cuboid, 3 cuneiform and bases of 5 metatarsal. Factors responsible for maintenance of stability of arches:-1. Shape of bones concerned.2. Intersegmental ties:-Spring ligament for the medial longitudinal arch.Long and short plantar ligaments for lateral longitudinal arch.Transverse arch - interosseus muscles.3. Tie beams or bowstrings 4. Slings5. Suspension. {Reference: BDC 6E chapter 13.}